Investigations for carcinoma cervix in the early stage are all except :
1. Surface biopsy
2. Ultrasound
3. Colposcopic guided biopsy
4. Schiller's test

Correct answer: 2. Ultrasound

Explanation: Ultrasound